All are features of septic tank except:
1. Ideal retention period-48 hours
2. Minimum capacity-500 gallons
3. Aerobic oxidation takes place outside
4. Sludge is solids setting down

Correct answer: 1. Ideal retention period-48 hours

Explanation: SEPTIC TANK: Is a water-tight masonary tank into which household sewage is admitted for treatment Is a satisfactory method of disposing liquid and excreta wastes from individuals dwellings, small groups of houses or institutions which have 'adequate water supply but donot have access to a public sewerage system' Design features of a septic tank: Ideal retention period: 24 hours Steps of purification in a septic tank: Anaerobic digestion: Takes place in septic tank proper Aerobic oxidation: Takes place in sub-soil (outside septic tank) Ref: Park 25th edition &; Pgno: 797